Helicobacter pylori is not associated with :
1. Gastrointestinal lymphoma
2. Gastric cancer
3. Gastric leiomyoma
4. Peptic ulcer

Correct answer: 3. Gastric leiomyoma

Explanation: Ans. is 'c' i.e. Gastric leiomyoma Ref.: Harrison 17th/e p 946, 1858 & 16th/ep 886, 1749 (15th/e p961) * Diseases associated with H. Pylori infection Non-cardia gastric Ca B-cell non-Hodgkin's gastric lymphoma Gastric ulcer Duodenal ulcer Chronic gastritis Gastroesophageal reflux disease. Association with H. pylori (OR): 3-6 6-50 2-8 CD O OJ o